Cut off value of cervical length for prediction of preterm labor?
1. 1.5 cm
2. 2.5 cm
3. 3.5 cm
4. 4.5 cm

Correct answer: 2. 2.5 cm

Explanation: Ans- B. To diagnose preterm Labour cervical length must be less than 2.5 cm .